Most common muscle damaged in rotator cuff
1. Supraspinatus muscle
2. Infraspinatus muscle
3. Subscapularis muscle
4. Teres minor muscle

Correct answer: 1. Supraspinatus muscle

Explanation: The tendons of the rotator cuff, not the muscle are most commonly involved and of the four the supraspinatus is affected most frequently as it passes below the acromian/ Refer maheswari 9th ed